A pregnant woman comes at 40 weeks gestation , her fundal height measures 34 cm. USG was done which shows the maximum vertical pocket of liquor < 2cm and AFI of 3 cm. Which of the following is false regarding this case scenario ?
1. Do induction if vaginal delivery is not contraindicated
2. During labour, cord compression is common in these patients
3. If cervix is unfavourable, immediate LSCS needs to be done
4. Strict intrapartum fetal surveillance

Correct answer: 3. If cervix is unfavourable, immediate LSCS needs to be done

Explanation: The above given case scenario is of pregnant female at term with Oligohydramnios. The patients with oligohydramnios at term should be delivered. Induction of labour is done if vaginal delivery is not contraindicated. The patient with an unfavorable cervix should undergo cervical ripening after assessment of fetal well-being. If fetal testing is reassuring, the unfavorable cervix can be ripened and vaginal delivery is done after that. Oligohydramnios can cause fetal and maternal complications : Fetal Complications : Intra-Uterine death Cord compression Deformities (Like deformed shape of skull, wry neck, etc) Fetalpulmonary hypoplasia Maternal complications : Prolonged labour Increased operative interference due to malpresentation